Farmer's lung is caused by -
1. Micromonospora faeni
2. Aspergillosis
3. Histoplasma capsulatum
4. All of the above

Correct answer: 1. Micromonospora faeni